Slow IPSP in autonomic ganglia is generated bya) Nicotinic cholinergicb) Muscarinic cholinergicc) Dopamined) GnRHe) Adrenaline
1. a
2. c
3. ac
4. bc

Correct answer: 4. bc

Explanation: Fast EPSP in autonomic ganglia are generated by Acetylcholine on nicotinic cholinergic receptors.
Slow EPSP in autonomic ganglia are generated by Acetylcholine on M1 muscarinic receptors.
Slow IPSP in autonomic ganglia are generated by Catecholamines (Dopamine, noradrenaline) on dopaminergic, α- adrenergic and M2 muscarinic receptors.